In an adult Unilateral smooth contracted kidney with hypertension is seen in -
1. Stenosis of renal arter
2. Chr. GN
3. Renal cell CART
4. Pyelonephritis

Correct answer: 1. Stenosis of renal arter

Explanation: Ans. is 'a' i.e., Stenosis of renal arteryAmongst the given options only stenosis of renal artery results in smooth contracted kidney :?o Unilateral renal artery stenosis is relatively uncommon cause of hypertension (2.5% of cases) kidney shows diffuse ischemic atrophy, reduced size.o Chronic GN - kidney is symmetrically contracted and has diffusely granular (not smooth) cortical surface. o Pyelonephritis (chronic) - Kidneys are irregularly scarred.o Renal Cell Cart - No smoothness, irrugular surface of kidney is seen.